Which cells in the kidney produce 1,25 dihydroxy - cholecalciferol?
1. Granular cells
2. Proximal convoluted tubule cells
3. Mesangial cells
4. Peritubular cells

Correct answer: 2. Proximal convoluted tubule cells

Explanation: Ans. B Proximal convoluted tubular cellsRef: Contemporary Nephrology, 1st ed. pg. 164 and Indu KhuranaGranular cellsProduce reninProximal convoluted cellsContain 1 alpha hydroxylase that is essential to produce vitamin D3 Mesangial cellsRegulate RBC leakagePeritubular cellsProduce erythropoietin